Which of the following corneal dystrophies is an autosomal recessive condition
1. Macular dystrophy
2. Granular dystrophy
3. Fleck dystrophy
4. Lattice dystrophy

Correct answer: 1. Macular dystrophy

Explanation: CORNEAL DYSTROPHIES CLASSIFICATION Dystrophies are classified according to the anatomic site most severely (primarily) involved, as follows: I. Anterior dystrophies (superficial dystrophies) It primarily affecting epithelium and Bowman's layer. 1. Epithelial basement membrane dystrophy 2. Reis-Buckler's dystrophy. 3. Meesman's dystrophy. 4. Recurrent corneal erosion syndrome. 5. Stocker-Holt dystrophy. II. Stromal dystrophies 1. Granular (Groenouw's type I) dystrophy 2. Lattice dystrophy 3. Macular (Groenouw's type II) dystrophy 4. Crystalline (Schnyder's) dystrophy III. Posterior dystrophies affecting primarily the corneal endothelium and Descemet's membrane. 1. Cornea guttata 2. Fuchs' epithelial-endothelial dystrophy (late hereditary endothelial dystrophy). 3. Posterior polymorphous dystrophy (of Schlichting). 4. Congenital hereditary endothelial dystrophy (CHED). STROMAL DYSTROPHIES Macular dystrophy (Groenouw type-II) It is an autosomal recessive dystrophy characterised by appearance of dense grey opacity in the central cornea. The condition results due to accumulation of mucopolysaccharides owing to a local enzyme deficiency. It occurs in childhood (5 to 10 years) and leads to marked defective vision in early life, which usually requires penetrating keratoplasty. Ref:-A K KHURANA; pg num:-117,118